Not under flexor retinaculum
1. Median nerve
2. Ulnar nerve
3. FDS
4. FPL

Correct answer: 2. Ulnar nerve

Explanation: Structures deep to flexor retinaculum1) Lateral compartment : Flexor carpi radialis tendon with its synovial sheath lodged in the groove on the palmar surface of trapezium.2 Medial compartment : (carpal tunnel proper).Structures superficially to flexor retinaculum 1) Palmaris longus tendon continuous with apex of palmar aponeurosis.2) Palmar cutaneous branch of median nerve.3) Palmar cutaneous branch of ulnar nerve.4) Ulnar nerve.5) Ulnar vessels protected superficially by volar carpal ligament (superficial part of the flexor retinaculum).